Housemaid's knee affects which of the following?
1. Prepatellar bursa
2. Infrapatellar bursa
3. Suprapatellar bursa
4. Anserine bursa

Correct answer: 1. Prepatellar bursa

Explanation: Ans. a (Prepatellar bursa). (Ref. Maheshwari, Orthopaedics, 2nd ed., 255)The 5 main bursae around the knee joint are - Prepatellar, Infrapatellar, Suprapatellar and Anserine bursa. Housemaid's knee is prepatellar bursitis (Irritation bursitis, or Infective bursitis). Named bursal diseaseMeans1Housemaid's kneePrepatellar superficial bursitis2Clergyman kneeInfrapatellar superficial bursitis3Student's elbowOlecranon bursitis4Weaver's bottomIschial bursitis5BunionBursitis at the first Metatarsophalangeal joint of foot causing swelling atmmedial aspect to the great toe base and lateral displacement of the toe.Bursae:# Sandwiched between tissues that slide past each other, bursae decrease the frictional forces present.# They are endothelialined cushions and normally contain little fluid.# If they are overloaded they can become inflamed, swollen and very painful.# Common sites for bursitis to develop are:- Olecranon;- Psoas tendon;- Greater trochanter; - Iliotibial band;- Prepatellar;- Infrapatellar;- Retro calcaneal.# Avoidance of the aggravating mechanical factors and a short course or anti-inflammatories is usually sufficient.# Intractable cases require aspiration and steroid injections and, more rarely, excision of the indurated bursal wall.